Inquest in case of death in police custody is carried outby-
1. Magistrate
2. Police
3. Coroner
4. Forensic medicine expert

Correct answer: 1. Magistrate

Explanation: Ans. is 'a' i.e.. Magistrate o Magistrate's inquest is done under sec 176 CrPC is case ofDeath in prison, reformatories, Borstal school.Death in police costody while under police interrogation.Death due to police firing.Dowry death; i.e. death of a married female less than 30 years of age or death within 7 years of marriage.Exhumation.Death in psychiatry hospital.Custodial rape.o Police inquest is done in cases ofDeath by suicide.Death by killing by another person (murder ) or an animal or machinery.Death by accident.Death under circumstances raising a reasonable suscpicion that some other person has commited an offence.